Part II of death certificate contains?
1. Manner of death
2. Immediate cause of death
3. Antecedant cause of death
4. Associated comorbid condition of death

Correct answer: 4. Associated comorbid condition of death

Explanation: Ans. is 'd' i.e., Associated comorbid condition of death